Segmented genome is found in all except -
1. Influenza virus
2. Reovirus
3. Bunyavirus
4. Rhabdovirus

Correct answer: 4. Rhabdovirus

Explanation: Ans. is 'd' i.e., Rhabdovirus Viruses with segmented genome .Viruses having segmented genome: Bunyaviridae ----- 3 segment single stranded Orthomyxoviridae (influenza) ----- 8 segment single strand Reoviridae (rotavirus, reovirus)------------- 10 - 12 segments double stranded RNA Arenaviridae 2 segment single strand RNA